Anterior posterior diameter of vocal cords in both males & females is ?
1. 24 & 36 mm
2. 36 & 48mm
3. 23 & 17 mm
4. 48 & 36 mm

Correct answer: 3. 23 & 17 mm

Explanation: Ans. is 'c' i.e., 23 & 17 mm The space between vocal cords is called rima glottidis.It is the narrowest portion of larynx.Its anteroposterior diameter is 24 mm (23 mm in BDC) males and 17 mm in females.